Dehydrogenases of HMP shunt are specific for:
1. TPP
2. NADP+
3. FMN
4. FAD

Correct answer: 2. NADP+

Explanation: Dehydrogenases of HMP shunt use NADP+ as a coenzyme and produces NADPH after reduction.